Not true about IDSP ?
1. TB under regular surviellance
2. HIV under sentinal surveillance
3. Syndromic diagnosis by medical officer
4. Presumptive diagnosis by medical officer

Correct answer: 3. Syndromic diagnosis by medical officer

Explanation: Ans. is 'c' i.e., Syndromic diagnosis by medical officer Integrated disease surveillance project (IDSP) IDSP is a decentralized state based surveillance system intended to detect early warning signals of impending outbreaks and helps initiate an effective response in a timely manner in urban and rural areas. It will also provide essential data to monitor progress of on-going disease control programme and help allocate health resources more efficiently. It is a 5 years project and was launched in November 2004.